Most important structure preventing uterine prolapse is:a) Round ligamentb) Broad ligamentc) Cardinal ligament d) Uterosacral ligament
1. ab
2. cd
3. bd
4. ac

Correct answer: 2. cd

Explanation: Supports of uterus have been discussed in detail earlier
Broad ligament (fold of peritoneum) and round ligaments are secondary supports of uterus and their role as support is doubtful.
“Main support which prevents descent of the uterus is transverse cervical ligament (cardinal ligament) and its posterior extension the uterosacral ligament.”